Which of the following is/are used as die material:
1. Gypsum
2. Epoxy resin
3. Electroplated silver
4. All of the above.

Correct answer: 4. All of the above.